The layer responsible for strength of an intestinal anastomosis is
1. Mucosa
2. Submucosa
3. Muscularis propria
4. Serosa

Correct answer: 2. Submucosa

Explanation: Mechanical propertiesThe mechanical properties of the intact intestine in axial and transversal directions were different. The mechanical strength of the intact intestinal wall was conditioned by the submucosa and muscularis, while the serosa and mucosa showed no significant strength. Comparison of axial specimens' mechanical properties of the intact intestinal wall and intestinal wall with all layers sutured through determined that only the submucosa supplies mechanical strength to the anastomosis.Other layers contribute no significant force to anastomotic strength. The strength applied to the thread during knot tying does not change the participation of the intestinal layers in supplying suture-holding capacity for 8 and 12 mm stitch depth. (Refer: